Drug efficacy refers to
1. Range of diseases in which the drug is beneficial
2. Maximal intensity of response that can be produced by the drug
3. The therapeutic dose range of the drug
4. The therapeutic index of the drug

Correct answer: 2. Maximal intensity of response that can be produced by the drug